DNA NICK AND LABELLING (insitu) technique is used to see?
1. amount of total DNA in a mitochondria
2. fraction of nucleic acids
3. fraction of cells in apoptotic pathway quantified
4. fraction of cells in meotic division is quantified

Correct answer: 3. fraction of cells in apoptotic pathway quantified

Explanation: DNA NICK AND LABELLING An in situ method for detecting areas of DNA which are nicked during APOPTOSIS. Terminal deoxynucleotidyl transferase is used to add labeled dUTP, in a template-independent manner, to the 3 prime OH ends of either single- or double-stranded DNA. The terminal deoxynucleotidyl transferase nick end labeling, or TUNEL, assay labels apoptosis on a single-cell level, making it more sensitive than agarose gel electrophoresis for analysis of DNA FRAGMENTATION. REF : robbins 10th ed